Which of the following is true about gastric emptying:
1. Decreased by cholecystokinin
2. Deceased by gastrin
3. Increased by secretin
4. Increased by GIP

Correct answer: 1. Decreased by cholecystokinin

Explanation: A i.e. Decreased by cholecystokinin